All of the following statements are true regarding lipoproteins except
1. VLDL transports endogenous lipids
2. LDL transports lipids to the tissues
3. Increased blood cholesterol is associated with increased LDL receptors
4. Increased HDL is associated with decreased risk of coronary disease

Correct answer: 3. Increased blood cholesterol is associated with increased LDL receptors

Explanation: Increased blood cholesterol is associated with increased LDL receptors 

Increased blood cholesterol (hypercholesterolemia) causes downregulation of LDL receptors.
VLDL transports endogenous lipids (especially TGs)
LDL transports lipids (especially cholesterol) to extrahepatic tissues.
Increase HDL is protective against cardiovascular diseases.